In a toddler few drops of blood was noticed per rectally. What can be the most probable diagnosis among the conditions given below?
1. Adenomatous polyposis coli
2. Juvenile Rectal polyp
3. Rectal ulcer
4. Piles

Correct answer: 2. Juvenile Rectal polyp

Explanation: This child is most likely suffering from juvenile polyp. Adenomatous polyposis coli, rectal ulcer and piles are diseases of the adults. Juvenile polyp is a benign, pedunculated and solitary lesion occuring mainly in the rectosigmoid colon. t is usually seen in children between 3 to 5 years of age, and is rare before 1 year. It ususally autoamputates by 15 years. Passage of small amount of bright red blood on a normal or constipated stool is the most common manifestation.